What is the location of Erb's point during auscultation?
1. A = 2nd intercostal space right parasternal line
2. B = 2nd intercostal space left parasternal line
3. C= 3rd intercostal space left parasternal line
4. D = 5th intercostal space left parasternal line

Correct answer: 3. C= 3rd intercostal space left parasternal line

Explanation: Area Location Aortic area 2nd right interspace close to the sternum Pulmonic area 2nd left interspace close to the sternum ERB's point 3rd left interspace close to the sternum Tricuspid area 5th left interspace close to the sternum Mitral area (apical) 5th left interspace medial to the MCL